All of the following organs develop in the mesentery of stomach except:
1. Liver
2. Spleen
3. Kidney
4. Pancreas

Correct answer: 3. Kidney

Explanation: Ans. c. Kidney (Ref: Langman's embryology 11/e p215, 219, 222, 236; 1.B. Singh embryology 8/e p166-169, 237; BDC 4/e vol-II/236, vol-I/208-210)Kidneys are retroperitoneal organs from the very beginning and do not develop within the mesentery of stomach.Pancreas is a secondary retroperitoneal organ. It originally develops within the mesentery and is covered within the mesentery, but latter fuses with the posterior body wall to become retroperitoneal organ.Liver and spleen develop within the mesentery of the stomach and remain intra-peritoneal organs.Mesentery* Gut is suspended from the dorsal and ventral body wall by double layer of peritoneum, known as mesentery.Ventral mesogastrium or mesenteryDorsal mesogastrium or mesentery* Present only from terminal esophagus to upper duodenum* Derived from septum transversumQ* Divided by developing liverQ in two parts:- Dorsal part (Between liver and stomach):- Lesser omentumQ- Ventral part (Between liver and anterior abdominal wall):- Falciform ligament- Coronary ligamentQ- Triangular ligamentQ* Extends from lower esophagus to cloacal region of hindgut* In the region of stomach k/a dorsal mesogastrium, in the duodenal region k/a dorsal mesoduodenum, in jejunal and ileal region k/a mesentery proper, in colon region k/a mesocolon* Dorsal mesogastrium is divided by developing spleenQ into:- Cranial most part:- Gastrophrenic ligamentQ- Cranial part:- Ventral to spleen: Gastrosplenic ligament- Dorsal to spleen: linorenal ligamentQ- Caudal part: Greater omentumQ